Rinne's test is negative in -
1. Sensorineural deafness
2. Acoustic neuroma
3. Tympano sclerosis
4. Meniere's disease

Correct answer: 3. Tympano sclerosis